12 by 12 initiative is directed at:
1. Anaemia
2. Population control
3. Literacy
4. Rural electricity

Correct answer: 1. Anaemia

Explanation: A 12 by 12 initiative was launched in AIIMS ON April 2007 with a view to have haemoglobin of 12 g/dl by the age of 12 years. Ref: National Health Programmes in India, J.Kishore, 10th edition pg: 453